Inverse agonist of BZD
1. Beta-carboline
2. Bicuculine
3. Baclofen
4. Diazepam

Correct answer: 1. Beta-carboline

Explanation: beta carboline is an inverse agonist of BDZ .